TLC is:
1. 4.2 lt
2. 3lt
3. 5lt
4. 6lt

Correct answer: 4. 6lt

Explanation: TLC: the volume of air left in the lung at the end of maximal inspiration. TLC= TV+IRv+ERV+Rv Ref: G K Pal textbook of Practical physiology 4th edition, page number: 158,159